The most common sequence of eruption of the
permanent maxillary teeth in children is:
1. 1-6-2-3-4-7-5-8
2. 2-3-1-6-7-5-4-8
3. 6-1-2-4-3-5-7-8
4. 6-1-2-3-4-5-7-8

Correct answer: 3. 6-1-2-4-3-5-7-8